In atrial septal defect, the aorta is
1. Small
2. Normal
3. Enlarged
4. Aneurysmal

Correct answer: 1. Small

Explanation: The chest x-ray film is often, but not always, abnormal in patients with significant ASD. Cardiomegaly may be present from right heart dilation and occasionally from left heart dilation if significant mitral regurgitation is present in the patient with an ostium primum ASD. Right heart dilation is better appreciated in lateral films. The central pulmonary arteries are characteristically enlarged, with pulmonary plethora indicating increased pulmonary flow. A small aortic knuckle is characteristic, which reflects a chronically low systemic cardiac output state because increased pulmonary flow in these patients occurs at the expense of reduced systemic flow.(Ref: "Atrial Septal Defects in the Adult - Recent Progress and Overview". By Webb & Gatzoulis. Circulation. 2006; 114: 1645-1653.)